An asymptomatic male came for USG abdomen for medical fitness. A focal lesion was found in his liver on ultrasound as shown here. The patient was told that this is the most common benign hepatic tumor. Which of the following is a false statement about this lesion?
1. The most sensitive and specific investigation CT Triphasic Contrast
2. Most of these lesions are asymptomatic
3. Characteristic Centripetal fill-in appearance is seen on postcontrast study.
4. Angiography shows characteristic "cotton-wool" appearance.

Correct answer: 1. The most sensitive and specific investigation CT Triphasic Contrast

Explanation: Ans. A. The most sensitive and specific investigation CT Triphasic ContrastHemangiomas are the commonest benign hepatic tumors with a prevalence at postmortem of between 4 per cent and 20 per cent. Multiple hemangiomas occur in up to 10 per cent of cases. They are composed of vascular channels of varying size (cavernous to capillary), lined with endothelium, often with intervening fibrous tissue of varying amounts. Most hemangiomas are asymptomatic, incidental findings on imaging. Those between approximately 2 and 4 cm in diameter are most likely to possess characteristic features allowing a confident diagnosis by imaging alone.